Which of the following statements about cerebellar astrocytomas in paediatric age group is False:
1. These are usually Low grade tumors
2. These tumors have a good prognosis
3. These are more commonly seen in the 1' and 2'd decades
4. These tumours are more common in females

Correct answer: 4. These tumours are more common in females

Explanation: Answer is D (These tumors are more common in females) Cerebellar Astrocytomas do not show any clear gender predilection and are equally common in both males & females. The predominant group of astrocytomas in childhood are low grade astrocytomas (Nelsons ) Juvenile Pilocytic Astrocytoma (JPA) is the most common astrocytoma in children') Juvenile Pilocytic Astrocytoma is a low grade tumor and is classified as a WHO grade I tumor Cerebellar Astrocytomas (JPA) do not show any clear gender predelictionQ (i.e, Equally common in males and females) (From WHO classification of tumors of CNS) Cerebellar Astrocytomas (Juvenile JPA) most commonly develop during the first two decades of lifedeg (WHO classification of Tumors of CNS) Cerebellar Astrocytomas have a good prognosis With complete surgical resection the overall survival for Juvenile Pilocytic Astrocytomas approaches 80% - 100% Facts to Remember : * The most common tumors in children are : Leukaemia * The most common solid tumours in children are: CNS tumors * The most common site of brain tumors in children is Infratentorial (cerebellar) * The most common site of brain tumors in neonates is supratentorial * The most common CNS tumors in children are Glial tumors Choi tumors * Astrocytomas * Oligodindrogliomas * Ependymomas Note * Glial tumors as a group are more common than medulloblastomas * If a question asks about the most common brain tumor in children, and it does not have astrocytoma as an option, but it has 'glioma' as an option, mark Glioma in preferance to Medulloblastoma. (Astrocytoma is also a' glioma'). * When based on histology the prevalence of Medulloblastomas and Juvenile Pilocytic astrocytoma / cerebellar astrocytomas has been mentioned as equal in most textbooks Yet Cerebellar astrocytomas are accepted as the most common posterior fossa tumors in children * Astrocytoma (Cerebellar) - Most common posterior fossa tumor in children is Cerebellar Astrocytoma.Q - Therefore most common brain tumor in children is also Cerebellar Astrocytoma. Q - Astrocytoma also has the best prognosis in children.Q - Therefore tumor with best prognosis in children is also Astrocytoma.Q * Medulloblastoma - The second most common posterior fossa tumor in children. Q - Tumor which spreads along CSF pathways is medulloblastoma.Q - Tumor which is capable of metastasising to extracranial sites is medulloblastoma. Q - Medulloblostoma is highly radiosensitive.Q * Brain Stem Gliomas : - These are the third most frequent post. fossa tumors in childrenQ * Craniophatyngioma : - These are the most common supratentorial tumor in children.Q